Inheritance of Crouzon syndrome is -
1. Autosomal recessive
2. X-linked recessive
3. Mitochondrial
4. Autosomal dominant

Correct answer: 4. Autosomal dominant

Explanation: Crouzon syndrome is an autosomal dominant disorder with complete penetrance and variable expressivity. It is characterized by premature closure of calvarial and cranial base sutures as well as those of the orbit and maxillary complex (craniosynostosis).